Additional daily energy required during pregnancy and lactatoin
1. 350 kcals, 350 kcals
2. 350 kcals, 600 kcals
3. 450 kcals, 600 kcals
4. 450 kcals, 350 kcals

Correct answer: 2. 350 kcals, 600 kcals